False about Giant cell tumor
1. Sun ray apppearance on x-ray
2. Epiphyseal tumor
3. Soap bubble appearance on x-ray
4. Treated with extended currettage

Correct answer: 1. Sun ray apppearance on x-ray